Sphincter and dilator pupillae develops from
1. Neuroectoderm
2. Surface ectoderm
3. Mesoderm
4. Endoderm

Correct answer: 1. Neuroectoderm

Explanation: HUMAN EMBRYOLOGY-INDERBIR SINGH tenth edition Derivatives of neuroectoderm: R-Retina O-Optic stalk/optic nerve M-Muscles of iris(sphicter and dilator pupillae) E-Epithelium of iris/ciliary body